True about mummification is:
1. External features are preserved
2. High atmospheric temperature is needed for
3. Occurs in dry air
4. All of the above

Correct answer: 4. All of the above

Explanation: D i.e. All of above Mummification is dessication/ dehydration or drying & shriveling of body tissue & viscera after death.Q Mummification is drying or dehydrationQ of cadaver & is modification of putrefactionQ. In which body features and appearances are preservedQ but face is greatly distortedQ High temperature, dry (devoid of moisture) environment with free circulation of airQ are ideal conditions for mummification.